Activation of which of the following hormone's receptors produces E.Coli induced diarrhoea?
1. Ghrelin
2. Guanylin
3. VIP
4. Somatostatin

Correct answer: 2. Guanylin

Explanation: Guanylin is a gastrointestinal polypeptide that binds to guanylyl cyclase. It is secreted by cells of the intestinal mucosa. Stimulation of guanylyl cyclase increases the concentration of intracellular cyclic 3',5'-guanosine monophosphate (cGMP), and this in turn causes increased secretion of Cl- into the intestinal lumen. The heat-stable enterotoxin of certain diarrhea-producing strains of Escherichia coli has a structure very similar to guanylin and activates guanylin receptors in the intestine.